Pseudohemoptysis is caused by:
1. Histoplasma capsulatum
2. Serratia marcescens
3. Proteus
4. Klebsiella

Correct answer: 2. Serratia marcescens

Explanation: Serratia grows in sputum after collection and makes sputum red (pigment production) This condition is pseudohemoptysis.